In which of the following, orbital metastasis is common
1. Hypernephroma
2. Hepatoma
3. Neuroblastoma
4. Melanoma

Correct answer: 3. Neuroblastoma

Explanation: C i.e. Neuroblastoma